Good prognostic factor for schizophrenia is ?
1. Blunted affect
2. Early onset
3. Presence of depression
4. Male sex

Correct answer: 3. Presence of depression

Explanation: Ans. is 'c' i.e., Presence of depression Good prognostic factors :- Acute onset; late onset (onset after 35 years of age); Presence of precipitating stressor; Good premorbid adjustment; catatonic (best prognosis) & Paranoid (2nd best); short duration (< 6 months); Married; Positive symptoms; Presence of depression; family history of mood disorder; first episode; pyknic (fat) physique; female sex; good treatment compliance & good response to treatment; good social support; presence of confusion or perplexity; normal brain CT Scan; outpatient treatment.